Lethal midline granuloma arises from
1. T-cells
2. B-cells
3. NK cells
4. Macrophage

Correct answer: 3. NK cells

Explanation: Ans. is 'c' i.e., NK cells Lethal midline granuloma or polymorphic reticulosis is a lymphoma of natural killer (NK) cells infected with EBV.